Short Metacaepals are not seen in
1. Down's syndrome
2. Turner's syndrome
3. Pseudohypoparathyroidism
4. Post-Trauma

Correct answer: 1. Down's syndrome